Pompholyx affects:
1. Groin
2. Trunk
3. Scalp
4. Palm and soles

Correct answer: 4. Palm and soles

Explanation: Ans. d. Palm & solesPompholyx is a form of recurrent palmoplantar eczema with firm deep-seated vesicles on sides of finger giving sago grain or tapioca like feel